Man is intermediate host of?
1. Malaria
2. Filaria
3. Dengue
4. Plague

Correct answer: 1. Malaria

Explanation: ANSWER: (A) MalariaREF: Jawett's 24th edition Section VI. Parasitology chapter 46. Medical ParasitologyRepeat in December 2011, December 2009Man is the defenitive host in most parasitic infections except in:Echinococcus granulosusPlasmodiumTaenia Solium(man is both defenitive and intermediate host)Toxoplasma gondiiSarcocytis lindemanii